Congestive dysmenorrhea is seen in patients with?
1. Fibroid
2. IUD wearers
3. PID
4. All the above

Correct answer: 4. All the above

Explanation: Ans. is 'd' i.e., All the aboveDysmenorrhoea is described under three clinical varietiesSpasmodic dysmenorrhoeais the most prevalent and manifests as cramping pains, generally most pro- nounced on the first and second day of menstruation.Congestive dysmenorrhoeamanifests as increasing pelvic discomfort and pelvic pain a few days before menses begin. Thereafter, the patient rapidly experiences relief in the symptoms. This variety is commonly seen in PID, IUCD wearers, pelvic endometriosis and fibroids. It is also experienced by women having varicosity of pelvic veins.Membranous dysmenorrhoeais a special group in which the endometrium is shed as a cast at the time of men- struation. The passage of the cast is accompanied by painful uterine cramps. This is a rare variety.